In Peck and Peck index, mesiodistal and buccolingual measurements of which of the following tooth is taken:
1. Maxillary central incisor
2. Mandibular central incisor
3. Maxillary premolars
4. Mandibular molars

Correct answer: 2. Mandibular central incisor